True about DNA reconstruction technology -
1. Restriction endonucleases involved
2. DNA ligase is used
3. Reverse transcriptase needed
4. All of these

Correct answer: 4. All of these